Nalgonda technique is used in
1. Epidemic dropsy
2. Endemic ascites
3. Endemic fluorosis
4. Chlorination of water

Correct answer: 3. Endemic fluorosis